A genetically modified rice called "golden rice" helps in combating the deficiency of -
1. Vitamin A
2. Vitamin C
3. Calcium
4. Zinc

Correct answer: 1. Vitamin A

Explanation: Golden rice: Variety of rice produced through genetic engineering to boisynthesize beta carotene, a precursor of vitamin A. It is indented to produce a fortified food to be grown and consumed in areas with a shortage of dietary vitamin A. Golden rice differs from its parenteral strain by the addition of three beta carotene biosynthesis gene.